Which deleterious effect is least likely to occur in hypothermia
1. Cardiac arryhthmia
2. Decreased peripheral resistance
3. Reversible coagulation
4. Renal failure

Correct answer: 2. Decreased peripheral resistance

Explanation: Ans. is 'b' i.e. decreased peripheral resistance Deleterious effect of hypothermiaCardiac arryhthmias and ischemiaIncreased peripheral vascular resistanceLeft shift of hemoglobin-oxygen saturation curveReversible coagulopathyPostoperative protein catabolism and stress responseAltered mental statusImpaired renal functionDecreased drug metabolismPoor wound healingIncreased incidence of infectionThere is an extensive list of physiological changes associated with hypothermia on Harrison p 123. Go through it